A 27 year old patient presented with left sided abdominal pain to the emergency room, 6 hours after an RTA. He is hemodynamically stable and FAST positive. A CECT (contrast enhanced CT) scan shows a contrast blush along with a grade IU laceration. What will be the most appropriate management?
1. Splenectomy
2. Splenorrhaphy
3. Splenic Artery Embolization
4. Conservative management

Correct answer: 3. Splenic Artery Embolization

Explanation: Splenic arety Embolization is highly recommended in stable patients with grade iv laceration with the splenic blush compared to splenectomy. The outcome is very good in patients undergone embolization than the speen removal. Spleen is very essential to ones life, always try to protect it maximally. Ref: Vascular Embolotherapy : A Comprehensive Approach By Jafar Golzarian, Volume 2, Pages 43-46